Most common extra pulmonary involvement of TB ?
1. Bone
2. Lymph nodes
3. Pleura
4. Ileocecal

Correct answer: 2. Lymph nodes

Explanation: Most common extra pulmonary involvement: lymph nodes > pleura> ileocecal - GI TB most common site- ileocecal